"Two in one stage" impression materials include
1. Zinc-Oxide eugenol impression paste
2. Hydrocolloid impression material
3. Elastomeric impression material
4. All of the above

Correct answer: 3. Elastomeric impression material